Melanoblast cells appear in basal layer of epidermis during -
1. 3
rd
 month of intrauterine life
2. 5
th
 month of intrauterine life
3. 7
th
 month of intrauterine life
4. 8
th
 month of intrauterine life

Correct answer: 1. 3
rd
 month of intrauterine life